Which vitamin is given in newborns to prevent hemorrhage -
1. Vitamin K
2. Vitamin E
3. Vitamin D
4. Vitamin A

Correct answer: 1. Vitamin K

Explanation: Ans. is 'a' i.e., Vitamin K Uses of vitamin K1. Deficiency state - Dietry deficiency, prolonged antimicrobial therapy, obstructive jaundice or malabsorption syndrome.2. Liver disease3. Newborns:- Newborns have deficiency of vit K as well as has limited capacity to synthesize clotting factors. Haemorrhagic disease of newborn can be prevented and treated with Vit K.4. Overdose of oral anticoagulants This is the most important indication of Vit K. Oral anticoagulant interfere with the synthesis of Vit K dependent clotting factor - Vit K can be used to reverse the effect.o Phytonadione (Kf is the preparation of choice for these indications, because it acts most rapidly.